Adductor canal lateral boundary is formed by:
1. Adductor longus
2. Rectus medialis
3. Vastus lateralis
4. Vastus medialis

Correct answer: 4. Vastus medialis

Explanation: Ans D Vastus medialisRef: Gray's Anatomy, 41st ed. pg. 1319, 1339* Adductor canal is also known as sub sartorial canal or hunters canal.* It is an intramuscular space situated below the Sartorius muscle in anteromedial aspect of the distal 2/3nl of the thigh.Boundary* Anterolaterally by vastus medialis* Posteromedially by adductor longus and adductor magnus.* Its anteromedial boundary (often referred to as the roof) is a strong and dense fascia that extends from the medial surface of vastus medialis to the medial edge of the adductors longus and magnus, overlapping in its stride the femoral vessels in the adductor canal.Contents of adductor canal:* Femoral artery and its branch, descending genicular artery* Femoral vein* Saphenous nerve* Nerve to vastus medialis